Kwashiorkor is diagnosed in growth retarded children along with:
1. Edema and mental changes
2. Hypopigmentation and anemia
3. Edema and hypopigmentation
4. Hepatomegaly and anemia

Correct answer: 1. Edema and mental changes

Explanation: Kwashiorkor: Malnutrition with poor appetite Edema Mental changes- apathy, lethargy Others- flaky paint dermatosis, flag sign